The disease with known association with malignant hyperthermia is
1. Huntington chorea
2. Fabry disease
3. Burns
4. Denborough syndrome

Correct answer: 4. Denborough syndrome

Explanation: KDS-King Denborough syndrome, Muscular dystrophy (DMD),myotonia are musculoskeletal disease associated with malignant hyperthermia.